Magaldrate is converted by gastric acid to -
1. Magnesium hydroxide
2. Magnesium hydroxide and calcium carbonate
3. Magnesium hydroxide and Aluminium hydroxide
4. Calcium carbonate and aluminium hydroxide

Correct answer: 3. Magnesium hydroxide and Aluminium hydroxide

Explanation: Ans. is 'c' i.e., Magnesium hydroxide and Aluminium hydroxide Magaldrate:o Magaldrateis a common antaciddrug that is used for the treatment of duodenal and gastric ulcers, esophagitis from gastroesophageal reflux.o Magaldrate is a hydroxymagnesium aluminate complex that is converted rapidly in gastric acid to Mg(OH)2 and Al(OH)3, wrhich are absorbed poorly and thus provide a sustained antacid effect.